The most-commen form of DNA variation is?
1. Single nucleotide polymorphism
2. Copy Number Variations (CNVs)
3. Transposons
4. Mutations

Correct answer: 1. Single nucleotide polymorphism

Explanation: Ans. (a) Single nucleotide polymorphism(Ref: R 9th/pg 3)Single-Nucleotide Polymorphisms (SNPs)*Variations at single nucleotide positions Q*Most prevalent Q and important form of genetic variation.*Always bi-allelic Q*Can occur in exons, introns, intergenic regions and coding regions*1 % of SNPs occur in coding regions